You are about to give intraosseous infusion in a child. Which of the following need NOT be ruled out before giving the infusion?
1. Osteoporosis
2. Septic shock
3. Osteogenesis imperfecta
4. Fracture at the site of insertion

Correct answer: 2. Septic shock

Explanation: Intraosseous transfusion may be required if intra vascular access is not available in conditions like severe burns, septic shock, prolonged status epilepticus, cardiopulmonary arrest etc. Also know Complications of intraosseous transfusion a) Extravasation of fluids b) Cellulilits c) Osteomyelitis d) Fat or bone micro embolism Ref: Oxford Handbook Of Clinical Specialities, Edition 8, Page - 263.